Malaria parasite was discovered by:
1. Ronald Ross
2. Paul Muller
3. Laveran
4. Pampania

Correct answer: 3. Laveran

Explanation: Ans. c. Laveran